Standardized mortality rate is standardized for
1. Age
2. Disease
3. Region
4. A particular time period

Correct answer: 1. Age